Folic acid supplementation is necessory for -
1. Mensturating females
2. Elderly females
3. Pregnant females
4. All

Correct answer: 3. Pregnant females

Explanation: Ans. is 'c' i.e., Pregnant females Body stores of folate are not large, about 5-10 mg, and therefore, folate deficiency can develop quickly.Folic acid requirements are greatest in conditions where there is rapid cell multiplication, such as during growth in young children and during pregnancy.Folic acid supplementation during pregnancy has been found to increase the birth weight of infants and decrease the incidence of low birth babies.Intake values recommended by ICMR (2010) are given below Per dayHealthy adults 200 mcgPregnancy 500 mcgLactation 300 mcgChildren 80-120 mcg